Obturation of deciduous tooth can be done with-
1. Gutta percha
2. Iodoform paste
3. Silver points
4. Thermoplasticized gutta percha

Correct answer: 2. Iodoform paste